the study of neoplastic growths is referred to as
1. tetralogy
2. anaplasia
3. oncology
4. neoplasia

Correct answer: 3. oncology

Explanation: Cancers are often managed through discussion on multi-disciplinary cancer conferences where medical oncologists, surgical oncologists, radiation oncologists, pathologists, radiologists, and organ specific oncologists meet to find the best possible management for an individual patient considering the physical, social, psychological, emotional, and financial status of the patient.
It is very important for oncologists to keep updated with respect to the latest advancements in oncology, as changes in management of cancer are quite common. 
All eligible patients in whom cancer progresses, and for whom no standard of care treatment options are available should be enrolled in a clinical trial